Malignant cell in Hodgkin's lymphoma is -
1. Reed sternberg cell
2. Lymphocytes
3. Histiocyte
4. Reticulum cells

Correct answer: 1. Reed sternberg cell